All the following are true about naegleria fowleri expect
1. Cause primary Amoebic meningo encephalitis
2. Also called Brain eating amoeba
3. Infective form is trophozoites
4. Clinical course is subacute to chronic

Correct answer: 4. Clinical course is subacute to chronic

Explanation: Clinical course is always acute.